20 year old patient presents with peripheral neuropathy, ataxia, distal sensory loss and muscle weakness, hearing loss , and ichthyosis. CSF shows elevated protein level. The most likely diagnosis is
1. Fabry disease
2. Refsum disease
3. Adrenoleukodystrophy
4. CMT4

Correct answer: 2. Refsum disease

Explanation: Refsum disease can manifest in infancy to early adulthood with the classic tetrad of (1) peripheral neuropathy, (2) retinitis pigmentosa, (3) cerebellar ataxia, and (4) elevated CSF protein concentration. Most affected individuals develop progressive distal sensory loss and weakness in the legs leading to footdrop by their 20s. Subsequently, the proximal leg and arm muscles may become weak. Patients may also develop sensorineural hearing loss, cardiac conduction abnormalities, ichthyosis, and anosmia. Serum phytanic acid levels are elevated. Sensory and motor NCS reveal reduced amplitudes, prolonged latencies, and slowed conduction velocities. Nerve biopsy demonstrates a loss of myelinated nerve fibers, with remaining axons often thinly myelinated and associated with onion bulb formation.